Which of the following is ideal method of screening for secondaries lung:
1. Chest X-ray
2. CT scan
3. MRI
4. Enzyme essay

Correct answer: 2. CT scan